First autologous renal transplantation was done by:
1. Hardy
2. Kavosis
3. Higgins
4. Studor

Correct answer: 1. Hardy

Explanation: Dr Hardy, James is the first person to do autologous transplantation in 1963. He removed the kidney of the person where ureters are severely injured and re implanted in the pelvis of same person. Dr Hardy is a pioneered surgeon, got Nobel prize for First lung transplantation. He is also First person to do Adrenal transplantation. Ref: Promises Kept: The University of Mississippi Medical Center By Janis Quinn, 1st Edition, Page 107